Patient presents with SP02 69%, BP 100/60 mm Hg, HR 120 beats per minute.What should be the first step in management of this patient?
1. Secure airway and O2 supplementation
2. Start bolus IV fluid infusion
3. Injection bicarbonate
4. Injection Epinephrine iv

Correct answer: 1. Secure airway and O2 supplementation

Explanation: Ans. is 'a' i.e., Secure airway and O2 supplementation* Patient has hypoxemia probably due to hampered breathing, thus as per the rules of resuscitation (ABC) it is essential to secure airway first and begin O2 supplementation.